Which one of the following does not stand as identification for male sex ?
1. Oval obturator foramen
2. V - Shaped Subpublic angle
3. Sternal index 54.3
4. Square Chin

Correct answer: 3. Sternal index 54.3

Explanation: Sternal index - Length of manubrium / Lenth of Body x 100
Male - 46.2
Female - 54.3
Ref - Naryana Reddy,  pg.no - 64